In a patient, fracture leads to loss of intermediate bone between the fractured segment of mandible, in this condition which of the following fixation plate should be applied:
1. Load shearing plate.
2. Load bearing plate.
3. Load distributing plate.
4. Any of the above.

Correct answer: 2. Load bearing plate.